Calcification of Posterior Longitudnal Ligament is best diagnosed by
1. X-Ray
2. CT
3. MRI
4. PET

Correct answer: 2. CT

Explanation: * Calcifications are best seen on CT Scan images. * Calcification of Posterior Longitudnal Ligament is (OPLL) Ossified Posterior Longitudnal Ligament and was traditionally considered more frequent in Japan and common in cervical spine Figure: Illustration of OPLL Figure: OPLL On plain film Figure: OPLL on sagittal CT scan Calcification of Posterior Longitudnal Ligament is also known as Japan's Disease.